Bioterrorism group A organism are all except:
1. Ebola
2. Botulism
3. Rickettsia
4. Yersinia

Correct answer: 3. Rickettsia

Explanation: CDC (the U.S. Centres for Disease Control and Prevention)category A, B and C Agents:Category AAnthrax BotulismPlague (Yersinia)SmallpoxTularemiaViral hemorrhagic fevers:Arenaviruses (Lassa, new world)Bunyaviridae (Crimean Congo, rift valley)Filoviridae (Ebola, Marburg)Category B BrucellosisEpsilon toxin of Clostridium perfringensFood safety threats ( Salmonella spp., E.coli 0157:H7, Shigella)Glanders (Burkholderia mallei)Melioidosis (B.pseudomallei)PsittacosisQ feverRicin toxin of Ricinus communisStaphylococcal enterotoxin BTyphus feverViral encephalitis (alphaviruses)Water safety threats ( Vibrio cholera, Cryptosporidium parvum)Category CEmerging infectious diseases threats like Nipha, hantavirus, SARS coronavirus and pandemic influenza) (ref:Harrison's 17/e p1343, 18/e p1769, table 221-2)